All of the following statements regarding Biomedical Waste management are true except:
1. Human Anatomical waste is thrown in Yellow bag
2. Blue bag waste is disposed by Landfill method
3. Incinerated ash is discarded in Black bag
4. Material in Red bag could be a source of contamination

Correct answer: 2. Blue bag waste is disposed by Landfill method